The probable pleural fluid finding in tuberculous pleural effusion among the following is :
1. Protein 5g/dl, low glucose, pH = 7.2
2. Protein 5 g/dl , high glucose, pH >7.4
3. Protein 3 g/dl , low glucose , pH 7.2
4. Protein 4 g/dl , high glucose , pH < 7.2

Correct answer: 1. Protein 5g/dl, low glucose, pH = 7.2

Explanation: The fluid is straw colored and at times hemorrhagic; it is with a protein concentration >50% of that in serum (usually 4-6 g/dL), a normal to low glucose concentration, a pH of 7.3 (occasionally <7.2), and detectable white blood cells (usually 500-6000/L). Reference: Harrisons Principles of Internal Medicine, 18th Edition, Page 1346